Negative growth is a characteristic of:
1. Testis
2. Brain
3. Mandible
4. Thymus

Correct answer: 4. Thymus